Normal female, whose father was color blind married a normal man. What are the chances of color blindness in son
1. 25%
2. 50%
3. 75%
4. No chance

Correct answer: 2. 50%

Explanation: Color Blindness is the inability to distinguish the difference between some colors. It is the result of an absence of color sensitive pigment in the cone cells of the retina. Color Blindness is passed down on the X chromosome.